Shoe leather survey was carried out by
1. McKay
2. Eager
3. Trendley Dean
4. Brown

Correct answer: 3. Trendley Dean